Passavant's ridge is formed by
1. Superior constrictor and palatopharyngeus
2. Inferior constrictor and palatopharyngeus
3. Superior constrictor and palatoglossus
4. Inferior constrictor and palatoglossus

Correct answer: 1. Superior constrictor and palatopharyngeus

Explanation: It is a mucosal ridge raised by fibres of palatopharyngeus. It encircles the posterior and lateral walls of the nasopharyngeal isthmus.
Soft palate, during its contraction, makes firm contact with this ridge to cut off nasopharynx from the oropharynx during the deglutition or speech.